A neonate suffering from respiratory distress, chest x- ray showing multiple air filled spaces, the DD is A/E :
1. Congenital lobar aplasia of lung.
2. Congenital lung cysts
3. Congenital adnomatoid malformation
4. Congenital diaphragmatic hernia

Correct answer: 1. Congenital lobar aplasia of lung.

Explanation: Ans. is 'a' i.e. congenital lobar aplasia of lung All the given options are cause of respiratory distress in a neonate. All except labor aplasia of lung show multiple air filled spaces on chest x-ray.